Valley fever or desse rheumatism is caused by
1. Coccidioides
2. Cladosporium
3. Phialophora
4. Histoplasma

Correct answer: 1. Coccidioides

Explanation: Coccidioides causes primary pulmonary disease which can be mild influenza-like fever ( valley fever) to severe pneumonia. Ref: Textbook of Microbiology, Ananthanarayan and Paniker; 9th edition